Pressure symptom is due to which fibroid :
1. Submucous
2. Subserous
3. Both
4. None

Correct answer: 2. Subserous

Explanation: Subserous